Which zone is the hottest and efficient burning zone of the flame used for casting?
1. Oxidizing zone
2. Reducing zone
3. Combustion zone
4. None of the above

Correct answer: 2. Reducing zone